Deep transverse arrest is seen in
1. Occipito-posterior position
2. Occipito-anterior position
3. Breech delivery
4. Face presentation

Correct answer: 1. Occipito-posterior position

Explanation: Ans. a (Occipitoposterior position). (Ref. Dutta, Obstetrics 4th/367, Ref. Williams Obstetrics, 21st/305)OCCIPITO-POSTERIOR POSITION# A vertex presentation with occiput placed posteriorly over SI joint or directly over the sacrum.# During delivery when occiput rotates through l/8th of a circle, anterior and sagital sutures come to lie in bispinous diameter, further anterior rotation becomes unlikely and arrest occurs in this position, and there occurs no progress of descent of head even after Vi hour following full dilatation of cervix, called as deep transverse arrest.# Etiology:- Lax pelvic floor- Android pelvis,- Weak uterine contraction,# Treatment:- Ventouse is ideal- Application of forceps can be useful- LSCS, if big baby, inadequate pelvis.